Among the following muscles, the one that is found in the first layer of the sole is?
1. Adductor hallucis
2. Flexor digitorum brevis
3. Flexor digiti minimi brevis
4. Flexor hallucis longus

Correct answer: 2. Flexor digitorum brevis

Explanation: Flexor digitorum brevis, abductor hallucis and abductor digiti minimi belong to first layer of the sole. Flexor digitorum brevis lies beneath the aponeurosis, medial to it lies abductor hallucis and lateral to it lies abductor digiti minimi.Tendons of flexor hallucis longus, and of flexor digitorum longus, flexor digitorum accessorius, and the lumbricals forms the second layer of the sole.Muscles which form the third layer are flexor hallucis brevis, flexor digiti minimi brevis, and abductor hallucis.Muscles forming the fourth layer of sole are tendon of tibialis posterior, tendon of peroneus longus and interosseous muscles and long plantar ligament.